The most important source of reducing equivalents for fatty acid synthesis in the liver is:
1. Glycolysis
2. TCA cycle
3. Uronic acid pathway
4. HMP pathway

Correct answer: 4. HMP pathway

Explanation: D i.e. HMP pathway